The growth pattern of a population with an annual growth rate of 1.5% to 2.0% is -
1. Slow growth
2. Moderate growth
3. Rapid growth
4. Very rapid growth

Correct answer: 4. Very rapid growth